Which of the following is not true about chronic myelogenous leukemia?
1. BCR-ABL fusion is involved in the oncogenesis
2. Pseudo Gaucher cells may be present in the bone marrow examination
3. Blast crisis in the disease may have lymphoblasts
4. BM biopsy is essential for confirmation of diagnosis

Correct answer: 4. BM biopsy is essential for confirmation of diagnosis

Explanation: Option A - It is d/t chromosomal translocation t Philadelphia chromosome Option B - Pseudo Gaucher cells are seen in patient with CML . Gaucher cells are seen in Gaucher disease Option C - CML- is an example of triphasic leukemia. Patient in blast phase will have both lymphoblasts as well as myeloblast. Option D - For diagnosis of CML there should be presence of Philadelphia chromosome. Technique Used for confirmation is (IOC)- Fluorescent in Situ Hybridization. FISH - Used colored probe dyes for a particular gene.